All of the following are true about antrochoanal polyp except:
1. Single
2. Unilateral
3. Premalignant
4. Arises from maxillary antrum

Correct answer: 3. Premalignant

Explanation: (c) Premalignant(Ref. Scott Brown, 6th ed., 4/10/14)Nasal polyps arise due to edema of the nasal mucosa. They are not premalignant.